Police inquest is A/E
1. Senior head constable can investigate
2. Most common inquest
3. Panchnama has to be signed by IC)
4. 10 may not summon

Correct answer: 4. 10 may not summon

Explanation: D i.e. 10 may not summon